The most common odontogenic cyst is
1. Primordial cyst
2. Dentigerous cyst
3. Radicular cyst
4. Mucocele

Correct answer: 3. Radicular cyst